Chronic granulomatous disease is
1. Associated with formation of multiple granulomas
2. A benign neoplastic process
3. A parasitic disease
4. Acquired leukocyte function defect

Correct answer: 1. Associated with formation of multiple granulomas

Explanation: ref Harrison 18/e p 387 It is a congenital and not acquired leucocyte function defect CGD Overview. Chronic Granulomatous Disease (CGD) is an inherited primary immunodeficiency disease (PIDD) which increases the body's susceptibility to infections caused by certain bacteria and fungi. Granulomas are masses of immune cells that form at sites of infection or inflammation.